The natural response to injury include all except
1. Immobility/rest
2. Anorexia
3. Catabolism
4. Anabolism

Correct answer: 4. Anabolism

Explanation: The natural response to injury includes:Immobility/restAnorexiaCatabolismThe changes are designed to aid the survival of moderate injury in the absence of medical intervention.Ref: Bailey and love 27e pg: 5